Unfolded proteins are handled by?
1. Chaperones
2. Histones
3. Proteases
4. Proteosomes

Correct answer: 1. Chaperones

Explanation: Ans. (a) ChaperonesRef Harper's Biochemistry 28/e, ch. 45y Table 45-5y & Table 45-6